Characteristic feature of korsakoff psychosis is
1. Disorientation
2. Delirium
3. Coarse tremor
4. Amnesia

Correct answer: 4. Amnesia